Which is not true regarding the colour of bruise -
1. 4th day - bluish black to brown
2. 7 -12 days - green
3. 1stday - red
4. 2 weeks - normal

Correct answer: 2. 7 -12 days - green

Explanation: At first: Red (oxyhemoglobin)
Few hours to 3 days: blue (reduced hemoglobin)
4th day: Bluish-black to brown (hemosiderin)
5-6 days: Greenish (haematoidin)
7-12 days: Yellow (Bilirubin)
2 weeks : Normal (absorption of pigment)